In which type of abortion the gestational age corresponds to the uterine size?
1. Threatened
2. Inevitable
3. Complete
4. Mixed

Correct answer: 1. Threatened

Explanation: Ans. is 'a' i.e., Threatened Type of Miscarriages and the Diagnostic FeaturesT>peSymptomsUterine SizeCervix (Ext. os)UltrasonographyThreatenedo Vaginal bleeding Presento Pelvic paino Corresponds to gestational ageo Closedo Fetus aliveo Retroplacental hemorrhage +Inevitableo Vaginal bleeding Presento Pelvic paino Same or smallero Open with palpable conceptuso Fetus often deado Retroplacental hemorrhage +Incompleteo Vaginal bleeding (may be heavy)o Smallero Openo Products of conception partly retainedCompleteo Vaginal bleeding- trace of absento Smallero Closedo Uterine cavity emptyMissedo Vaginal bleeding-trace brownish in coloro Smallero Closedo Blighted ovum or fetus without cardiac activitySeptico Vaginal discharge: Purulent, foul smelling with features of sepsis (see p. 192)o Variable, may be largero Openo Products of conception retained, presence of foreign body (1) fee fluid in the peritoneal cavity/PODThreatened Abortion:o Uterine size corresponds to the gestational age.o External os of cervix is closed.